Fastest route of absorption of local anaesthetic is:
1. Intrapleural
2. Epidural
3. Brachial
4. Caudal

Correct answer: 1. Intrapleural

Explanation: Intrapleural